A widely used drug that suppresses cellular immunity, inhibits prostaglandin and leukotrine synthesis and increases the catabolism of IgG antibody is:
1. Cyclophosphamide
2. Prednisone
3. Cyclosporine
4. Infliximab

Correct answer: 2. Prednisone

Explanation: (Ref: KDT 6/e p828, 838) Glucocoicids are powerful immunosuppresants. These inhibit both celelular and humoral immunity by: Decreasing the recruitment of immune cells. Catabolism of immunoglobulins.